The formation of glycine takes place by transamination of
1. Alanine
2. Glyoxylate
3. Aspartate
4. Glutamate

Correct answer: 2. Glyoxylate